All of the following drugs are used in hypertensive crisis except:
1. Labetalol
2. Pindolol
3. Nitroprusside
4. Nifedipine

Correct answer: 2. Pindolol

Explanation: Ans. B. PindololLabetalol is used as hypertensive emergency in pregnancy, nitroprusside is given in patients with aortic dissection. Nifedipine though rarely used, can be given as sublingual therapy for rapid control of blood pressure.